A 58-year-old male presents with persistent fullness of left ear for 3 months and hearing loss. On examination, there is fluid behind the tympanic membrane. Impedance audiometry shows a type B audiogram. The next step for the management of the patient would be:
1. Myringotomy with grommet insertion
2. Endoscopic examination for any nasopharyngeal pathology
3. Valsalva manoeuvre
4. Antihistaminics

Correct answer: 2. Endoscopic examination for any nasopharyngeal pathology

Explanation: Ans. b. Endoscopic examination for any nasopharyngeal pathology